Specificity measures:
1. True negatives
2. False positives
3. True positives
4. None of the above

Correct answer: 1. True negatives

Explanation: Ans: aRef: Park, 17th ed, p. 112 & 18,h ed, p. 117